Vitamin D is not found in sufficient quantities in:
1. Fish fat
2. Egg
3. Halibut liver oil
4. Milk

Correct answer: 4. Milk

Explanation: Ans: D i.e. MilkFoodstuff and vitamin-D contentFish fat contains 5-30 microgram/100 gram of vitamin DEgg contains 1.25-1.5 microgram/100 gram of vitamin DHalibut liver oil contains 500-10,000 microgram/100 gram of vitamin DMilk has 0.1 microgram/100 gram